International disease surveillance is for -
1. Hepatitis
2. Polio
3. TB
4. Leprosy

Correct answer: 2. Polio

Explanation: Ans. is 'b' i.e., Polio Diseases under international surveillance (WHO)o Rabieso Poliomyelitiso Salmonellosiso Louse bom typhus fevero Malariao Relapsing fevero Human influenza